Perjury is :
1. Willful utterance of falsehood
2. An act comitted within court premises
3. Failure to sign summons
4. Failure to appear as a witness

Correct answer: 1. Willful utterance of falsehood

Explanation: A i.e. Willful utterance of falsehood